A 30 year old male presents to the clinic with swelling on the left side of his lower jaw. He gives no history of any previous surgical treatment. On extraoral examination, an asymmetrical face is seen. On palpation, bony hard swelling is appreciated.
Under polarized light source, apple-green colour birefringence of amyloid deposited in fibrous connective tissue stroma is seen. The most probable diagnosis for this patient is:
1. Pindborg tumor
2. Complex odontoma
3. Odontogenic myxoma
4. Postsurgical calcifying bony defect

Correct answer: 1. Pindborg tumor

Explanation: Scattered flecks of calcification throughout the radiolucency have given rise to the descriptive term of a 'driven snow' appearance. Another characteristic feature of the Pindborg tumour is the presence of calcification,  sometimes in large amounts and often in the form of Liesegang rings. The postsurgical calcifying defect is easily eliminated from consideration, if there is no recent surgical procedure in the patient's history. Compound odontomas have a number of tooth-like structures or denticles that look like deformed teeth.